Chronic lymphedema of limb is predisposed to all of the following except:
1. Thickening of the skin
2. Recurrent soft tissue infections
3. Marjolin's ulcer
4. Sarcoma

Correct answer: 3. Marjolin's ulcer

Explanation: Complications of Lymphedema: Limb swelling: Cause discomfort and aching. Infections: Recurrent bacterial and fungal infections, recurrent cellulitis or lymphangitis leading to skin thickening. Risk of malignancy: Lymphangiosarcoma (Stewart-Treves syndrome) Malignancies associated with Lymphedema Lymphangiosarcoma (Stewart-Treves Syndrome) Kaposi's sarcoma (HIV) Squamous cell carcinoma Liposarcoma Malignant melanoma Malignant fibrous histiocytoma Basal cell carcinoma Lymphoma Signs of Chronic Lymphedema Buffalo Hump Contour of the ankle is lost through infilling of the submalleolar depressions, a 'buffalo hump' forms on the dorsum of the foot Square Toes Toes appear 'square' because of confinement of footwear Stemmer's sign Skin on the dorsum of the toes cannot be pinched because of subcutaneous fibrosis Ref: Sabiston 20th edition Pgno: 1850